All of the following statements regarding subendocardinal infarction are true, except -
1. These are multifocal in nature
2. These often result from hypotension or shock
3. Epicarditis is not seen
4. These may result in aneurysm

Correct answer: 4. These may result in aneurysm